Maximum cardiac output is seen during which phase of pregnancy?
1. Ist trimester
2. IInd trimester
3. Labour
4. Immediate postpartum period

Correct answer: 4. Immediate postpartum period

Explanation: Maximum cardiac output during pregnancy is seen in the immediate postpartum period. During this period blood pressure increases by 70% over the prelabour values. Cardiac output gradually increases after 5th week of pregnancy, reaches its peak 40-50% at about 30-34 weeks. Thereafter the cardiac output remains the same till term. During labour cardiac output increases to 50%. Ref: Textbook of Obstetrics By D. C Dutta, 6th Edition, Page 51-56.